All of the following decrease in Nephrotic syndrome except-
1. Transfrerrin
2. Ceruloplasmin
3. Fibrinogen
4. Albumin

Correct answer: 3. Fibrinogen

Explanation: Hyperfibrinogenemia is seen in nephrotic syndrome which results in Hypercoaguble state in those patients . Other causes of Hypercoagubility in NS are Urine loss of antithrombin-III Decrease in serum protiens c, s Increase in platelet aggregation Severe NS predisposes to Renal vein thrombosis due to Hypercoaguble state. Decrease in serum Ceruloplasmin in NS results in copper defeciency anemia which is resistant to iron therapy Ref:Harrison 20 th edition pg no. 293,2318,2167